A patient is unable to solve mathematical calculations, which part of his brain is damaged?
1. Temporal lobe
2. Frontal lobe
3. Parietal lobe
4. Occipital lobe

Correct answer: 3. Parietal lobe

Explanation: Performing Mathematical calculations is a function of the parietal lobe. Damage to the left hemisphere of this lobe will result in Acalculia, Agraphia, finger agnosia and global Aphasia. This is known asGESMANN SYNDROME